Macronodular cirrhosis is considered once nodule diameter is greater than -
1. 1 mm
2. 2 mm
3. 3 mm
4. 4 mm

Correct answer: 3. 3 mm